True about drug induced SLE is:
1. CNS manifestation are common
2. Renal involvement is common
3. Antihistone antibodies are found in many
4. All with antibodies progress to lupus

Correct answer: 3. Antihistone antibodies are found in many

Explanation: C i.e. Antihistone antibodies are found Drug induced lupus is caused by procainamide, hydralazine, isoniazid (but not chloroquine) Q. It is a syndrome of positive ANA associated commonly with antihistone antibodies, fever, malaise, arthritis or intense arthralgiaVmyalgias, serositis, and/or rashQ. It occurs predominantly in whites, has less female predilection than SLE, rarely involves brain or kidneys, is rarely a/w anti ds DNA and usually resolves over several weeks after discontinuation of offending drugQ.